Dermatophyte infection is –
1. Superficial
2. Subdermal
3. Subfascial
4. Muscular

Correct answer: 1. Superficial

Explanation: Dermatophytes infect the most superficial layer of epidermis, i.e. stratum corneum.